Persistent pupillary membrane originates from
1. Collarette
2. Angle of ant. chamber
3. Around pupil
4. Root of iris

Correct answer: 1. Collarette

Explanation: Ans. (a) CollaretteRef: Paediatric Ophthalmology by Wright and Speigel, p. 444PPM is the most common developmental abnormality of the iris. They are believed to the vestiges of precursor vessels and associated structures derived from tunica vasculosa lentis.The formation of a PPM is a normal embryological process and starts at the Iris Collarette (thickest part of the iris).